EDD ( Expected Date of Delivery) is calculated by:
1. Young's rule
2. Naegele's formula
3. Cardiff Formula
4. Hadlock Formula

Correct answer: 2. Naegele's formula

Explanation: Expected date of delivery is calculated by - Naegele's formula From the 1st day of last menstrual cycle - 9 months + 7 days